Contralateral superior quadrantanopia and sensory aphasia occurs due to occlusion of which branch of MCA:
1. M2 MCA- inferior division
2. M2 MCA - superior division
3. MCA stem
4. M1 MCA

Correct answer: 1. M2 MCA- inferior division

Explanation: Contralateral superior quadrantanopia(MEYER'S LOOP IN TEMPORAL LOBE) and sensory aphasia are seen in occlusion of inferior division of MCA.